The concept of social medicine was first introduced by
1. Neumann and Virchow
2. Robert Grotjahn
3. John Ryle
4. Rene Sand

Correct answer: 1. Neumann and Virchow

Explanation: The seeds that medicine is a social science were sown in 19th century by pioneers such as Neumann and Virchow Ref : Park's Textbook of Preventive and Social Medicine; 23rd edition